8 year old child having unilateral condylar fracture with chronic pain and normal occlusion; what will be the treatment modality?
1. IMF for 2 weeks
2. IMF for 4 weeks
3. Active jaw movements
4. Open reduction

Correct answer: 3. Active jaw movements